During surgery of a 56-year-old man for squamous cell carcinoma of neck, the surgeon notices profuse bleeding from deep cervical artery. Which of the following arteries must be ligated immediately to stop bleeding?
1. Costocervical trunk
2. Transverse cervical artery
3. Thyrocervical trunk
4. Inferior thyroid artery

Correct answer: 1. Costocervical trunk

Explanation: The surgeon should ligate costocervical trunk because it divides into deep cervical artery and superior intercostal arteries. Thyrocervical trunk gives off suprascapular, transverse cervical and inferior thyroid artery. Ascending cervical artery is a branch of inferior thyroid artery.